Which of the following is not a part of Kubler Ross Stages of impending death?
1. Depression
2. Bargain
3. Aggression
4. Anger

Correct answer: 3. Aggression

Explanation: Aggression REF: Kaplan & Sadock's Synopsis of Psychiatry: 10th Edition, page 62, 63 Stages of Death and Dying:Elisabeth Kubler-Ross, M.D. (July 8, 1926 - August 24, 2004) was a Swiss-born psychiatrist, a pioneer in Near-death studies and the author of the groundbreaking book On Death and Dying (1969), where she first discussed what is now known as the Kiibler-Ross modelStage 1: Shock and DenialStage 2: AngerStage 3: BargainingStage 4: DepressionStage 5: Acceptance